Which of the following is/are the etiological factors for ECC
1. At will breast feeding
2. Prolonged bottle feeding
3. Frequent use of syrupy medicines which are sweetened
4. All of the above

Correct answer: 4. All of the above